Lysosomal enzymes are maximally active at -
1. Acidic pH
2. Alkaline pH
3. Neutral pH
4. Has no relation with pH

Correct answer: 1. Acidic pH

Explanation: Ans. is 'a' i.e., Acidic pH "Lysosomal enzymes of tissue cell have evolved for a physiological function in an acidic environment".o Lysosomes are membranous bags containing hydrolytic enzymes for digesting large molecules of proteins, polysaccharides, fats, and nucleic acids. Lysosomes bud off from trans (concave) face of the Golgi apparatus. Lysosomal enzymes are synthesized in rough ER and then processed by Golgi apparatus.o The marker enzyme of for lysosome is acid phosphatase. Other enzymes found in lysosome (but are not markers) are ribonuclease, deoxyribonuclease, glucosidase, arylsuIfatase9 collagenase and cathepsins.o The lysosomes that pinched off from Golgi complex are called primary lysosomes. After a primary lysosome has fused with the vacuole or vesicle containing the material to be digested, it forms the secondary lysosome. After the process of digestion has been completed, a secondary lysosome forms the residual body.o The residual body generally discharges its contents by exocytosis. Sometimes, however, residual bodies containing some indigestible substances may be retained in the cell. Such collections of residual bodies gradually increase with age, and are believed to contribute to impairment of physiological function associated with the process of aging.o Autophagy is the process by which cells sequester and degrade their own cytoplasmic organelles. During the process, autophagic vacuole is formed, which is a bilayer vacule containing unnecessary or dysfunctional organelle. Autophagic vacule fuses with lysosome to form autophagosome (autophagolysosome). Then, hydrolytic enzymes of lysosome degrade the organelle of autophagic vacuole.